Rubeosis iridis is not seen in:
1. CRVO
2. Diabetic retinopathy
3. Hypertensive retinopathy
4. Ocular ischemic syndrome

Correct answer: 3. Hypertensive retinopathy

Explanation: Ans. C: Hypertensive retinopathy Neovascularization of the iris (NVI) or rubeosis iridis is a condition characterized by the development of new, branching and enlarged vessels in the iris. Rubeosis iridis is often associated with diabetes in advanced proliferative diabetic retinopathy. Other conditions causing rubeosis iridis include central retinal vein occlusion, ocular ischemic syndrome, and chronic retinal detachment The visual prognosis is poor